Which of the following is not a Schindler's first rank symptom:
1. Passivity phenomenon
2. Auditory hallucinations
3. Delusion of self-reference
4. Delusional perception

Correct answer: 3. Delusion of self-reference

Explanation: Delusion of self-reference